4 year old girl wt. 12kg with diarrrhoea, skin pinch goes back very slowly & she is not able to drink- false is
1. Develop severe dehydration
2. Require plan C treatment
3. Fluid of choice-ORS
4. Require hospitalition

Correct answer: 3. Fluid of choice-ORS

Explanation: Ans. is 'c' i.e., Fluid of choice-ORS Two of following sign suggest severe dehydration : Lethargic or uncouscious Sunken eye Not able to drink or drinking poorly Skin pinch goes back very slowly So above girl is suftering from severe dehydration treatmen-give fluid for sever dehydration (plan C) Urgent IV fluid infection Require hospitalisation.